BPAD includes -a) Recurrent depressive episodesb) Recurrent manic episodesc) Depressive episodes and hypomanic episodesd) Manic episodes and dysthymiae) Manic episodes and depressive episodes
1. bce
2. bc
3. acd
4. ace

Correct answer: 1. bce

Explanation: Bipolor affective disorders (BPAD) include Mania (recurrent episodes of mania alone); episodes of mania / hypomania & depression (manic - depressive illness); and cyclothymia.